Most common cause of genital Herpes ?
1. HSV-1
2. HSV-2
3. HSV-3 (VZV)
4. HSV-4 (EBV)

Correct answer: 2. HSV-2

Explanation: Ans. is 'b' i.e., HSV-2 Both HSV-1 and 2 can cause genital and oral - facial infection but reactivation at oral - facial site is more common with HSV-1 and at genital site with HSV-2